Microsbrasion technique of stain removal was given by:
1. Kroll.
2. McInnis.
3. Nutting.
4. Stewart.

Correct answer: 1. Kroll.

Explanation: KROLL → “MICROABRASION technique“18%  HCl. 
Indication of microabrasion: 
Fluorosis stains/any stains–limited to depth, not more than 0.2 to 0.3 mm.